Keratoconj u ncti vitis sicca is -
1. Sjogren's syndrome
2. SLE
3. Dermatomyositis
4. RA

Correct answer: 1. Sjogren's syndrome

Explanation: Ans. is 'a' i.e., Sjogren's syndrome Sjogren's syndromeo It is an autoimmune chronic inflammatory' disease with multi-system involvement.o It typically occurs in women between 40 and 50 years of age.o Its main feature is an aqueous deficiency dry eye - the keratoconjunctivitis sicca (KCS).o In primary S/ogneni syndrome patients present with sicca complex - a combination of KCS and xerostomia (dryness of mouth).o In secondary' Sjogren s syndrome dry eye and/or dry mouth are associated with an autoimmune diseae, commonly rheumatoid arthritis.o Its pathological features include focal accumulation and infiltration by lymphocytes and plasma cells with destructin of lacrimal and salivary glandular tissue.